A youngster had a fight with a man where he assaulted him. He can be arrested under IPC:
1. IPC 44
2. IPC 351
3. IPC 319
4. IPC 320

Correct answer: 2. IPC 351

Explanation: S. 351, I.P.C.: An assault is an offer or threat or attempt to apply force to body of another in a hostile manner. It may be a common assault or with an intent to murder. S.352 to 358 I.P.C. deal with punishments for various types of assaults. S. 44, I.P.C. -- Injury: Any harm whatever illegally caused to any person in body, mind, reputation or property. S. 319, I.P.C. -- Hurt: Hurt means bodily pain, disease or infirmity caused to any person. S. 320, I.P.C. -- Grievous injury Ref: The Essentials of Forensic Medicine and Toxicology by K S Reddy, 27th edition, Page 258.